Which of the following cords are associated with Erb's Palsy?
1. C5 - C6
2. C6 - C7
3. C8 - T1
4. T1 - T2

Correct answer: 1. C5 - C6

Explanation: A lesion at C5 - C6 causes the policeman's tip deformity. Injury may be seen due to birth related injuries. Erb's point or the punctum nervosum is a site at the lateral root of the brachial plexus located 2-3 cm above the clavicle. Erb's point is formed by the union of the C5 and C6 nerve roots, which later converge. At the nerve trunk, branches of suprascapular nerves and the nerve to the subclavius also merge. Injury to Erb's point causes paralysis of the biceps, brachialis, and coracobrachialis. The effect is called "Erb's palsy".